Tremors are seen in disorder of:
1. Basal ganglia
2. Pain pathway
3. Pyramidal tract
4. Parathyroid gland

Correct answer: 1. Basal ganglia